Outer epithelium of cornea is derived from?
1. Mesoderm
2. Endoderm
3. Surface ectoderm
4. Neural ectoderm

Correct answer: 3. Surface ectoderm

Explanation: Ans. (c) Surface ectodermRef: A.K. Khurana 6th ed. /12Please refer to above explanation